Yawning is a common feature of:
1. Alcohol withdrawal
2. Cocaine withdrawal
3. Cannabis withdrawal
4. Opioid withdrawal

Correct answer: 4. Opioid withdrawal

Explanation: Ans. Opioid withdrawal